Treatment of nodulocystic acne ?
1. Erythromycin
2. Isoretinonine
3. Tetracycline
4. Steroids

Correct answer: 2. Isoretinonine

Explanation: Ans. is 'b' i.e., Isoretinonine